Which of the following is NOT an adverse effect of cyclosporine?
1. Hirsutism
2. Nephrotoxicity
3. Hypertension
4. Hypoglycemia

Correct answer: 4. Hypoglycemia

Explanation: (Ref: KDT 6/e p840) Cyclosporine causes hyper and not hypoglycemia